Which is not a feature of Gerstmann syndrome?
1. Agraphia
2. Acalculia
3. Chorea
4. Finger agnosia

Correct answer: 3. Chorea

Explanation: Gerstmann Syndrome: lesion of dominant Parital lobe due to occlusion of MCA. Features: 1. Acalculia 2. Agraphia 3. Finger agnosia 4. R and L disorientation